Follicle stimulating hormone (FSH) receptors are present on:
1. Theca cells
2. Granulosa cells
3. Leydig cells
4. Basement membrane of ovarian follicle

Correct answer: 2. Granulosa cells

Explanation: FSH receptor is a specific G-protein coupled receptor. It is present in granulosa cells (ovary) and Sertoli cells (testis). cAMP is the second messenger; it stimulates production of CREB-P and CREM-P (transcription factors that initiate expression of target genes). FSH stimulation of granulosa cells produces estradiol; stimulation of Sertoli cells produces inhibin. Theca cells (ovaries) and Leydig cells (testis) have receptors for LH. Both FSH and LH downregulate their receptors.